All of the following are composite muscles except
1. Adductor magnus
2. Pectinalis
3. Flexor digitorum profundus
4. Flexor digitorum superficialis

Correct answer: 4. Flexor digitorum superficialis

Explanation: Composite muscle implies dual nerve supply.The FDS is supplied by the median nerve.Pectineus: its anterior fibres are supplied by the femoral nerve and posterior fibres by the anterior division of the obturator nerve.Adductor Magnus: the adductor part is innervated by the posterior division of the obturator nerve while the hamstring part is by the tibial part of the sciatic nerve.The FDP innervation-medial half by ulnar nerve and lateral half the anterior interosseous nerve.Reference: Textbook of anatomy, Abdomen and lower limb, Vishram Singh, 2nd edition, page no.345,346, and Textbook of anatomy, Upper limb and thorax, Vishram Singh, 2nd edition, page no.110